The amino acid required for the synthesis of haem is
1. Glutamine
2. Glutamic acid
3. Glycine
4. Lysine

Correct answer: 3. Glycine